The neurotransmitter agent that is normally released in the SA node of the heart in response to increased blood pressure is
1. Acetylcholine
2. Dopamine
3. Adrenaline
4. Noradrenaline

Correct answer: 1. Acetylcholine

Explanation: Ref-KDT 6/e p107 Whenever blood pressure increases there is reflex stimulation of baroreceptors. The release ACh and depresses the heart